A primigravida female presented with erythematous skin changes and lesions with multiple pus lakes. Which of the following should be the most apuopriate
1. Corticosteroids
2. Atretinin
3. Psorolen + PUVA
4. PUVA

Correct answer: 1. Corticosteroids

Explanation: Topical corticosteroids are synthetic (man-made) corticosteroid medications used for treating skin conditions such as rash, dermatitis, itching, eczema, and psoriasis. Topical corticosteroids have potent anti-inflammatory actions and also suppress the immune response Ref Harrison20th edition pg 1324